Most virulent dengue fever strain is -
1. 1
2. 2
3. 3
4. 4

Correct answer: 2. 2

Explanation: 4 types of dengue virus exist. DEN1,DEN2,DEN3,DEN4,in which 2 is more virulent REF:ANANTHAN ARIYANAM of your TEXT BOOK OF MICROBIOLOGY 9EDITION PGNO.523